Nothern blot is used for the separation of:
1. mRNA
2. DNA
3. Protein
4. Protein DNA interaction

Correct answer: 1. mRNA

Explanation: A i.e. m- RNA